Semicircular canal perceives ___________
1. Linear acceleration
2. Angular acceleration
3. Both
4. None

Correct answer: 2. Angular acceleration

Explanation: They respond to angular acceleration and deceleration. The three canals lie at right angles to each other but the one which lies at right angles to the axis of rotation is stimulated the most. Thus horizontal canal will respond maximum to rotation on the vertical axis and so on. Due to this arrangement of the three canals in three different planes, any change in position of head can be detected.